The most powerful feedback system for controlling plasma osmolarity and sodium concentration is
1. ADH and thirst
2. Salt
3. Angiotensin renin system
4. Angiotensin rennin system

Correct answer: 1. ADH and thirst

Explanation: If osmotic pressure of the plasma is increased more than normal then the osmoreceptors are activated and ADH secretion increased. There's more receptors causes thirst and increase in the water intake. Daddy secretion causes water retention. This leads to dilution of ECF. Ref: page no 564 Textbook of physiology Volume 1 7th edition AK Jain